A child after consuming food in a party complains of diarrhea within 1-5 hours. The diagnosis is :
1. S. aureus
2. Streptococcus
3. Clostridium perfringens
4. Clostridium botulinum

Correct answer: 1. S. aureus